NAD+ reduced by all of the following enzymes except:
1. Alpha ketoglutarate dehydrogenase
2. Iso-citrate dehydrogenase
3. Malate dehydrogenase
4. Succinyl dehydrogenase

Correct answer: 4. Succinyl dehydrogenase

Explanation: Ans. D. Succinyl dehydrogenaseNiacin acts as electron acceptor for the following enzymes:Isocitrate dehydrogenaseAlpha ketoglutarateMalate dehydrogenase